Most common cause of Hypertension in adults is -
1. Essential Hypertension
2. Pheochrmocytoma
3. Renal Artery' Stenosis
4. Chronic Glomerulonephritis

Correct answer: 1. Essential Hypertension

Explanation: Ans. is 'a' i.e., Essential Hypertension o Most common cause of Hypertension in adults is Essential Hypertension.# Essential (primary or idiopathic) hypertension is the most common cause of hypertension in adolescents and adults.